All of the following brace are used in scoliosis except?
1. Milwaukee
2. Risser
3. Boston's
4. Minerva

Correct answer: 4. Minerva

Explanation: Minerva cast is used in cervical spine